Which of the following Pre-malignant conditions of vulva present with "Cake icing effect"
1. Vulval intraepithelial neoplasia
2. Lichen sclerosis
3. Paget's disease of vulva
4. Leukoplakia

Correct answer: 3. Paget's disease of vulva

Explanation: Extramammary paget's disease of vulva is characterised by well-demarcated erythematous lesion affecting the vulva with "cake - icing effect".